A patient in ICU developed stress related mucosal damage. MOST common site of stress ulcer is:
1. Ileum
2. Stomach
3. Duodenum
4. Esophagus

Correct answer: 2. Stomach

Explanation: Stress-Related Mucosal Damage (SRMD): SRMD, also referred to as stress ulcers or stress-related erosive syndrome (SRES), is the result of multiple-organ-system failure in the critically ill patient. SRMD lesions are characterized by multiple, deeper, acute ulcerations, predominantly in the gastric lesser curvature or fundus, and these lesions can erode into the submucosa, causing massive hemorrhage. Ref: Subramanian R., McCashland T. (2005). Chapter 82. Gastrointestinal Hemorrhage. In J.B. Hall, G.A. Schmidt, L.D. Wood (Eds), Principles of Critical Care, 3e.